Which of the following anti histamine should be avoided in a truck driver with rhinitis?
1. Diphenhydramine
2. Astemizole
3. Desloratadine
4. Fexofenadine

Correct answer: 1. Diphenhydramine

Explanation: Diphenhydramine  is a 1st generation anti-histamine which has highly sedating property and hence should be avoided in truck drivers and swimmers.